Risk factor for suicide
1. Female sex
2. Unmarried
3. Age 30 years
4. Married

Correct answer: 2. Unmarried

Explanation: some of the risk factors for suicide are male gender substance abuse recent stressor family history of attempted or completed suicide past history of attempted or completed suicide personality--- Borderline personality disorder charecterstic---impulsivity unmarried umemployed lack of spouse lack of soial support Reference: Kaplon and sadock, 11 th edition, synopsis of psychiatry, 11 th edition, pg no. 307